In congestive cardiac failure all are true used except
1. Spironlactone
2. Nitrates
3. Nesiritide
4. Trimetazidine

Correct answer: 4. Trimetazidine